The anatomical landmark used during posterior superior alveolar nerve block are mucobuccal fold, occlusal plane, coronoid process and anterior border of:
1. Ramus
2. Mandible
3. Premolar
4. Midline

Correct answer: 1. Ramus